Coris disease is due to defect in
1. Branching enzyme
2. Debranching enzyme
3. Myophosphorylase
4. Hepatic phosphorylase

Correct answer: 2. Debranching enzyme

Explanation: It is type III glycogen storage disease. to deficiency of the debranching enzyme. Clinical features: highly branched dextrin accumulate, fasting hypoglycemia, hepatomegaly.Ref: DM Vasudevan, 7th edition, page no: 125